The appropriate choice for treatment of Nulliparous prolapse is :
1. Sling operation
2. Manchester repair
3. Ward Mayo's operation
4. Pessry treatment

Correct answer: 1. Sling operation

Explanation: Sling operation